Pityriasis versicolor is caused by
1. E. Floccosum
2. M. Gypseum
3. M. Furfur
4. T. Tonsurans

Correct answer: 3. M. Furfur

Explanation: Epidermophyton floccosum causes T.cruris andT.pedis. Microsporum gypseum causes us. Trichophyton tonsurans causes endothrix hair infection. Reference: Textbook of Microbiology; Baveja; 4th edition